Basal exudates, infarcts and hydrocephalus are findings observed in Brain imaging studies. The most likely diagnosis is:
1. Tubercular meningitis
2. Viral meningitis
3. Herpes encephalitis
4. Cerebral Malaria

Correct answer: 1. Tubercular meningitis

Explanation: Answer is A (Tubercular meningitis): Basal exudates, hydrocephalus and ischemic infarcts are classical features of Tubercular Meningitis. 'The triad of CT features (Thalamic infarction, Basal cistern enhancement and Hydrocephalus) is diagnostic of Tubercular Meningitis' --Journal of Indian Medical Association Classical Radiological Features (CT/MRI) in Tubercular Meningitis Basal exudates Obliteration of Basal cisterns (Tubercular Exudates are primarily located in the vicinity of basal cisterns) Abnormal Leptomeningeal Enhancement (Usually most pronounced in the basal cisterns) Communicating Hydrocephalus (Usually communicating although non-communicating may also be seen) Ischentic / Vasculitic Infarcts (Basal ganglia and / or Internal capsule) Tuberculomas (Granulomas)